Calabar swelling is due to -
1. Hypersensitivity to adult worm of Loa-Loa
2. Hypersensitivity to larva of Loa-Loa
3. Hypersensitivity to adult worm of oncocerca
4. Hypersensitivity to larva of oncerca

Correct answer: 1. Hypersensitivity to adult worm of Loa-Loa

Explanation: Ans. is 'a' i.e., Hypersensitivity to adult worm of Loa-Loa [Ref: Chatterjee 12thIe p. 202}Loiasis* Loiasis is caused by L. Loa (the African eye worm)* Habitat of adult worms is subcutaneous connective tissue of man; often in the sub-conjuctival tissue of the eye.* The worm passes its life cycle in two hosts :# Man# Chrysops (Mango or deer flies)* It causes a characteristic subcutaneous swelling called Calabar (fugitive) swelling. It is due to hypersensitivity reaction to adult worm.